True about aminoglycoside is all except:
1. Are bacteriostatic
2. Distributed only extracellularly
3. Excreted unchanged in urine
4. Teratogenic

Correct answer: 1. Are bacteriostatic